Prostate calculi are usually composed of
1. Calcium carbonate
2. Calcium phosphate
3. Calcium oxalate
4. Cystine

Correct answer: 2. Calcium phosphate